A first rank symptom of schizophrenia is all Except
1. Ambivalence
2. Running commentary
3. Thought insertion
4. Somatic passivity

Correct answer: 1. Ambivalence

Explanation: Kurt Schneider First Rank Symptoms Second-Rank Symptoms Audible thoughts Voices arguing or discussing(commanding voices) Voices commenting on patient's actions (commenting voices) Made feelings Made impulses or drives Made volitional acts Thought withdrawal Thought insertion Thought broadcasting Delusional perception Somatic Passivity Other disorders of perception Sudden delusional ideas Perplexity Depressive and euphoric mood changes Feelings of emotional impoverishment and several others as well Reference: Kaplon and sadock, 11 th edition, synopsis of psychiatry, 11 th edition, pg no. 987